The part of the male urethra where the urethral crest is situated in is?
1. Penile urethra
2. Pre-prostatic urethra
3. Prostatic urethra
4. Membranous urethra

Correct answer: 3. Prostatic urethra

Explanation: The Urethral Crest is a midline, longitudinal, ridge like projection of mucosa which lies on the posterior wall of prostatic urethra.